Acute hemolytic anemia in G6PD deficiency is triggered by all, EXCEPT:
1. Fava beans
2. Infections
3. Drugs
4. Anemia

Correct answer: 4. Anemia

Explanation: Acute hemolytic anemia in G6PD deficiency is triggered by a beans, infections, and drugs. The onset can be extremely abrupt especially with ism in children. Ref: Harrison, 18th edition, Page 878.